Which of the following is not a fundamental aspect of Disaster Management?
1. Disaster response
2. Disaster mitigation
3. Disaster awakening
4. Disaster preparedness

Correct answer: 3. Disaster awakening

Explanation: Ans. C. Disaster awakening. (Ref. Park's Textbook of PSM 22nd/pg. 741)Discussion:A disaster can be defined as "any occurrence that causes damage, ecological disruption, loss of human life or deterioration of health and health services on a scale sufficient to warrant an extraordinary response from outside the affected community or area.A "hazard''can be defined as any phenomenon that has the potential to cause disruption or damage to people and their environment.DISASTER MANAGEMENTThere are three fundamental aspects of disaster management: -# Disaster response,# Disaster preparedness,# Disaster mitigation.Response# Response after disaster.# Include rescue, first aid, triage etc.# Note that triage is the only approach that can provide max benefit to the greatest no. of injured in major disaster situations. Red indicates high priority Rx or transfer, yellow signals medium priority, green indicates ambulatory patients and black for dead or moribund patients.Preparedness# Objective to ensure that appropriate systems, procedures and resources are in place to provide prompt effective assistance to disaster victims.Mitigation# Measures to prevent hazards or lessen likely effect of emergencies.